Arlt\'s line is seen in –
1. Vernal keratoconjunctivitis
2. Pterygium
3. Ocular pemphigoid
4. Trachoma

Correct answer: 4. Trachoma

Explanation: A characteristic white conjunctival scar, called Arlt line, is usually fainted at the junction between the lower third and upper two-third of the superior tarsus.